Reduced salivary flow following irradiation is dose dependent. At what dose does the flow reach essentially zero:
1. 4000 rads
2. 5000 rads
3. 6000 rads
4. 7000 rads

Correct answer: 3. 6000 rads